Prophylaxis of a neonate born to a HBsAg positive mother should include:
1. Vaccine
2. Immunoglobulins
3. Both Vaccine and Immunoglobulin
4. No active treatment required

Correct answer: 3. Both Vaccine and Immunoglobulin

Explanation: Infants born to HBsAg positive mothers should receive both HBIG and HB vaccine IM at separate sites within 12 hours of birth followed by 2nd and 3rd doses of vaccine at 1 and 6 months respectively. Ref: Harrison's Internal Medicine, 17th Edition, Page 1948; Essential Pediatrics By O P Ghai, 6th Edition, Page 216